In run-over accidents the following type of laceration is commonly seen:
1. Split
2. Cut
3. Avulsion
4. Stretch

Correct answer: 3. Avulsion

Explanation: In run over accidents, avulsion is seen AVULSION : - It is produced by shearing force delivered at tangential angle to tear off a portion of traumatized skin surface from their attachment. - In run over accidents, avulsion / flaying/ flapping is seen in which flap laid tells us about the direction of force. Split laceration : It occurs due to crushing of the skin in between two hard objects . Stretch laceration : It is due to over stretching of skin. It is seen in case of open fracture. Tear laceration: tearing (of skin or subcutaeus tissue) can occur due to localized impact by some hard and irregular object Cut lacerations: it can occur by a heavy sharp edged weapon which causes a deep and wide cut over the body tissues.